True about CSF rhinorrhea is -a) Occurs due to break in cribriform plateb) Contains glucosec) Requires immediate surgeryd) Contains less protein
1. acd
2. bcd
3. abc
4. abd

Correct answer: 4. abd

Explanation: Let us see each option Separately

Option a – Occurs due to break in cribriform plate. This is correct
Option b – CSF contains glucose and option d It has less proteins

In comparison to nasal secretions – CSF contains more of glucose and less of proteins (Turner 10/e, p 28) hence both options b and d are correct

Option c – Requires immediate surgery

This is not absolutely correct as:
–– Early cases of post traumatic CSF rhinorrhea are managed conservatively. Only those cases where CSF rhinorrhea occurs persistently
––Surgical management should be done